The most common explanation for fetal tachycardia is -
1. Maternal administration of parasympathetic or sympathomimetic drugs
2. Maternal fever from amnionitis
3. Fetal cardiac defects
4. Cardiac arrhythmias

Correct answer: 2. Maternal fever from amnionitis

Explanation: Fetal tachycardia is defined as a baseline heart rate greater than 160 bpm. The most common explanation for fetal tachycardia is maternal fever from chorioamnionitis, although fever from any source can increase baseline fetal heart rate. Other causes of fetal tachycardia include fetal compromise, cardiac arrhythmias, and maternal administration of parasympathetic(atropine) or sympathomimetic (terbutaline) drugs.